All of the following statements about dislocation of the shoulder are true, except
1. The injury is produced by a fall with the arm fully abducted
2. The commonest position for the head of the humerus to move into is the subspinous
3. The auxiliary (circumflex humeral) nerve is likely to be injured
4. The easiest way to reduce it is by simple pressure with the patient under general anesthesia with muscle relaxation

Correct answer: 2. The commonest position for the head of the humerus to move into is the subspinous

Explanation: B i.e. The commonest position for the head of the humerus to move into is the subspinous